Direct immunofluorescence(DIF) is negative in:
1. Bullous Pemphigoid
2. Cicatricial pemphigoid
3. Epidermolysis Bullosa Dystrophica
4. Pemphigus Folaceous

Correct answer: 3. Epidermolysis Bullosa Dystrophica

Explanation: All of the above are autoimmune disorders except Epidermolysis Bullosa Dystrophica which is because of defective collagen.7 in dermis and hence DIF is negative.